Column concept of spine stability' was given by-
1. Denis
2. Frenkel
3. Wilson
4. Todd

Correct answer: 1. Denis

Explanation: Ans. is 'a' i.e., Denis The three column concept of spinal stabilityo Denis (1983) proposed the 3-column concept of spinal stability". He divided the above-enumerated bony and soft-tissue structures into three columns - anterior, middle and posterior as followsAnterior column consisting of the anterior longitudinal ligament, the anterior portion of the annulus fibrosus and the anterior half of the vertebral body.Middle column consisting of the posterior portion of the vertebral body, the posterior portion of the annulus and the posterior longitudinal ligament.Posterior column consisting of the pedicles, facets, laminae and the posterior ligament complex (ligamentum flavum, interspinous ligament, supraspinous ligament and the facet joint capsule).